Most common cause of aortic aneurysm is:
1. Syphilis
2. Marfan's syndrome
3. Atherosclerosis
4. Congenital

Correct answer: 3. Atherosclerosis

Explanation: Answer is C (Atherosclerosis) 'The most common pathologic condition associated with aortic aneurysm is Atherosclerosis':